Pituitary secretes all hormones except ?
1. GH
2. Prolactin
3. Oxytocin
4. Thyroxine

Correct answer: 4. Thyroxine

Explanation: Ans. is 'd' i.e., Thyroxine